Nerve supply of kidney is from
1. Lumbar plexus
2. Coeliac plexus
3. Inferior mesentric nerve
4. Hypogastric plexus

Correct answer: 2. Coeliac plexus

Explanation: Celiac plexus is formed by the greater and lesser splanchnic nerves of both sides, and fibers from the anterior and posterior vagal trunks. Contribute to renal plexus ref - sciencedirect.com